Liking to wear clothes of opposite sex:
1. Fetishism
2. Masochism
3. Transvestism
4. Sadism

Correct answer: 3. Transvestism

Explanation: Ans. Transvestism